Recommended daily requirement of lodine of lactating women is:
1. 50-100 µg
2. 100-200 µg
3. 200-300 µg
4. 25-50 µg

Correct answer: 3. 200-300 µg

Explanation: Ref. Foundations of Community medicine. Page.258
 
Iodine Requirement:
To accommodate increased iodine needs during pregnancy and lactation, the iodine RDA is 220 mcg/day